"Menke's disease" is a disease of-
1. Impaired zinc transport
2. Impaired copper transport
3. Impaired magnesium transport
4. Impaired molybdenum transport

Correct answer: 2. Impaired copper transport

Explanation: Menkes kinky hair syndrome is an X-linked metabolic disturbance of copper metabolism characterized by intellectual disability, hypocupremia, and decreased circulating ceruloplasmin. This syndrome is caused by mutations in the copper-transporting ATP7A gene. Children with this disease often die within 5 years because of dissecting aneurysms or cardiac rupture . Ref - Harrisons 20e p2318